Judet view of X-ray is used for viewing injury of what ?
1. Pelvis
2. Calcaneum
3. Scaphoid
4. Spine

Correct answer: 1. Pelvis

Explanation: *Judet view of X- ray is for acetabular (pelvis) fracture. Ref : Maheshwari J Essential Orthopaedics 9th/e p.38 & 5th/e p.38,369